Larvae of which of the following lies parallel to surface of water:
1. Anopheles
2. Culex
3. Aedes
4. Sandfly

Correct answer: 1. Anopheles

Explanation: Ans. A: Anopheles Mosquito larvae have a well-developed head with mouth brushes used for feeding, a large thorax and a segmented abdomen. They have no legs. In contrast to other mosquitoes, Anopheles larvae lack a respiratory siphon and for this reason position themselves so that their body is parallel to the surface of the water. Larvae breathe through spiracles located on the 8th abdominal segment and therefore must come to the surface frequently. The larvae spend most of their time feeding on algae, bacteria, and other microorganisms in the surface microlayer. They dive below the surface only when disturbed. Larvae swim either by jerky movements of the entire body or through propulsion with the mouth brushes.